Which of the following is the drug of choice in the treatment of nodulo cystic acne?
1. Systemic steroids
2. Isotretinoin
3. Estrogen
4. Benzoylperoxide

Correct answer: 2. Isotretinoin

Explanation: Nodulocystic acne is a severe form of acne affecting face, chest and back. It is characterised by multiple inflammed and uninflammed nodules with great tendency for scar formation. Isotretinoin is the drug of choice of nodulocystic acne. It is absolutely contraindicated in pregnancy due to its teratogenic effects.